Corpus deliciti stands for -
1. Body of court proceedings
2. Body of offence
3. Body of proof
4. Body of evidence

Correct answer: 2. Body of offence

Explanation: Ans. is 'b' i.e., Body of offence The Corpus Delicti: (the body of offencet the essence of crime)o It stands for the facts of any criminal offence.o Eg : corpus delicti of murder is the fact that the person died from unlawful violence.o It includes the body of the victim and the other facts which are conclusive of death by foul play, such as bullet or a broken knife blade found in the body and responsible for death.